Implantation occurs at the stage of -
1. Zygote
2. Morula
3. Blastocyst
4. Primary villi

Correct answer: 3. Blastocyst